Heart beat in conceptus can be detected earliest by
1. 4-6 weeks
2. 12-14 weeks
3. 14-16 weeks
4. 21-24 weeks

Correct answer: 1. 4-6 weeks

Explanation: The CVS is the earliest system to become functional is human. Heart begins to beat in the fourth week of development( Day 22 ).